Schick test in diphtheria is done to know:
1. Carriers
2. Subseceptibles
3. Diseased
4. Immunized

Correct answer: 2. Subseceptibles

Explanation: Subseceptibles